All of the following components or qualities of stored whole blood tend to decrease over time except:
1. Red blood cell viability
2. Potassium concentration
3. PH
4. Platelet activity

Correct answer: 2. Potassium concentration